In depression, there is deficiency of:
1. 5-HT
2. Acetylcholine
3. Dopamine
4. GABA

Correct answer: 1. 5-HT

Explanation: Ans. (A) 5-HT(Ref: Katzung 10/e p475; KDT 8/e p483)Monoamines like serotonin and nor-adrenaline are deficient in depressive patients, therefore reuptake inhibitors of these monoamines are used for treatment of depression.